Persistent  and inappropriate repetition of response beyond the point of relevance is called
1. Thought insertion
2. Thought block
3. Perseveration
4. Neologism

Correct answer: 3. Perseveration

Explanation: The patient repeats same response beyond the point of relevance.
Example :

What is your name? – Darshan
What you ate in the morning? – Darshan
Where do you live? – Darshan